Garden - I fractures are also known as
1. Complete fracture with out displacement
2. Complete fracture with minimal (partial) displacement
3. Complete fracture with full displacement
4. Valgus impaction fractures

Correct answer: 4. Valgus impaction fractures

Explanation: D i.e. Valgus impaction fractures